Treatment of choice in 65 year old female with impacted neck of humerus is:
1. Triangular sling
2. Arm chest strapping
3. Arthroplasty
4. Observation

Correct answer: 1. Triangular sling

Explanation: A i.e. Triangular sling